Cysticercosis is caused by larva of:
1. Taenia solium
2. T. saginata
3. Echinococcus
4. Ascaris

Correct answer: 1. Taenia solium

Explanation: Ans. (a) Taenia solium